Stapedial reflex is mediated by:
1. V and VII nerves
2. V and VIII nerves
3. VII and VI nerves
4. VII and VIII nerves

Correct answer: 4. VII and VIII nerves

Explanation: It is based on the fact that a loud sound of 70-100 dB above the threshold of hearing of particular ear, causes bilateral contraction of the stapedial muscle which can be detected by tympanometry.This can be seen both in the stimulating ear (ipsilateral ear) and in the non stimulating ear (contralateral ear).